Parameningeal Rhabdomyosarcoma is best diagnosed by-
1. MRI
2. CT Scan
3. SPECT
4. PET

Correct answer: 1. MRI

Explanation: A i.e. MRI PET & SPECT are functional brain imaging modalities so these cannot be used for dx of parameningeal Rhabdomyosarcoma. Other informations indicating towards answer are Investigation of choice for primary or metastatic brain tumor = MRI + Contrast (Harrison) Inv. of choice for meningeal tumors = MRI + Contrast (Ganong-2337) Inv. of choice for meningeal disease = MRI + Contrast (Harrison) MRI is excellent for soft tissue imaging & CT is best for bone imaging.